Which type of fear is the most usually difficult to
overcome?
1. Long standing objective fears
2. Long standing subjective fears
3. Short term objective fears
4. Short term subjective fears

Correct answer: 2. Long standing subjective fears